Which of the following actions of aspirin is manifested at the lowest dose?
1. Analgesic
2. Antipyretic
3. Anti-inflammatory
4. Antiplatelet aggregatory

Correct answer: 4. Antiplatelet aggregatory

Explanation: Aspirin can produce dose dependent effects. Antiplatelet action is seen at lowest doses (40-325 mg). Anti-inflammatory action require the highest doses.